Viruses can be cultured in all except:
1. Chick embryo
2. Blood agar
3. Guinea pigs
4. Cell culture

Correct answer: 2. Blood agar